Lamina Dura is lost or partially lost in:
1. hypothyroidism
2. hyperthyroidism
3. hypoparathyroidism
4. hyperparathyroidism

Correct answer: 4. hyperparathyroidism